Most common cause of otomycosis:
1. Histoplasma
2. Rhinosporidium
3. Aspergillus
4. Actinomyces

Correct answer: 3. Aspergillus

Explanation: Ans. c. AspergillusOTOMYCOSISMost common organism causing otomycosis is aspergillus niger, followed by Candida albicans.Other organism causing otomycosis is aspergillus fumigatus.Clinical presentation: Patients present with itching, pain and ear blockade/ discharge.Management: Ear toileting and antifungal ear drops.